Hypocalcemia is characterized by aii of the following features except-
1. Numbness and tingling of circumoral region
2. Hyperactivity tendon reflexes
3. Shortening of Q-T interval in ECG
4. Carpopedal spasm

Correct answer: 3. Shortening of Q-T interval in ECG

Explanation: Numbness and tingling of circumoral region,Hyperactivity tendon reflexes,Carpopedal spasm are features of hypocalcemia shortening of QT interval is seen in hypercalcemia Ref Harrison 20th edition pg 1556